All of the following are indications of colposcopy:a) Suspicious pap smearb) Obvious mass seenc) Suspected invasive carcinomad) Patient who refuse biopsy
1. a
2. ac
3. ad
4. b

Correct answer: 2. ac